CT scan was invented by:
1. Geoffrey Hounsfield
2. Eric Storz
3. lohn Snow
4. Takashita Koba

Correct answer: 1. Geoffrey Hounsfield

Explanation: Geoffrey Hounsfield